Which of the following intravenous induction agents is the most suitable for day care surgery?
1. Morphine
2. Ketamine
3. Propofol
4. Diazepam

Correct answer: 3. Propofol

Explanation: Propofol is the mostly used intravenous induction agent for day care surgery because of its early induction and less marked residual impairment. It is associated with low incidence of postoperative nausea and vomiting. Ref: Essentials of Medical Pharmacology By K D Tripathi, 5th Edition, Pages 343-44.